The attachment of the Actinomyces species to the tooth surface is facilitated by
1. Fimbriae
2. Cilia
3. Flagella
4. Pseudopodia

Correct answer: 1. Fimbriae